Commonest cause of female pseudo hermaphroditism is:
1. Virlizing ovarian tumor
2. Ovarian dysgenesis
3. Exogenous androgen
4. Congenital adrenal hyperplasia

Correct answer: 4. Congenital adrenal hyperplasia

Explanation: The most common cause of female pseudohermaphroditism is congenital (virilizing) adrenal hyperplasia (CVAH or CAH). Ref: Harrison's Principles of Internal Medicine, 14th Edition, Page 2124 and 15th Edition, Page 2178 ; Textbook of Gynecology By D C Dutta, 4th Edition, Page 42 ; Transgenderism and Intersexuality in Childhood and Adolescence: Making Choices By Peggy Tine Cohen-Kettenis, Friedemann Pfafflin, 2003, Page 40